The ECG of a 40 year old male was recorded using standard bipolar limb leads. The sum of the voltage of the three standard leads was found to be 5 millivolts. This indicates:
1. A normal heart
2. Right ventricular hypertrophy
3. Left ventricular hypertrophy
4. Increased cardiac muscle mass

Correct answer: 4. Increased cardiac muscle mass

Explanation: “When the sum of the voltages of all the QRS complexes  of  the  three  standard  leads  is greater than 4 mV, the patient is considered to  have  a  high-voltage  electrocardiogram. The  cause  of  high-voltage  QRS  complexes most  often  is  increased  muscle  mass  of the  heart,  which  ordinarily  results  from hypertrophy of the muscle.” So, in general  its  hypertrophy  of  heart  (may  be  right  or, left ventricular), but you cannot determine whether it is due to right or, left ventricular hypertrophy.